Midpontine section with bilateral vagotomy causes
1. Deep and slow breathing
2. Apneustic breathing
3. Irregular and gasping breathing
4. None of the above

Correct answer: 2. Apneustic breathing

Explanation: The Pons. The pons is the other respiratory center and is located underneath the medulla. Its main function is to control the rate or speed of involuntary respiration. ... The pnuemotaxic center sends signals to inhibit inspiration that allows it to finely control the respiratory rate. Hence causes apnoea Ref: guyton and hall textbook of medical physiology 12 edition page number:370,371,372